Auto antibody in Sjogrens syndrome is?
1. Anti centromere antibody
2. Anti Ro & anti La
3. Anti ds DNA
4. Anti RNP

Correct answer: 2. Anti Ro & anti La

Explanation: Robbins basic pathology 9th edition page no 131,(green box=Pathogenesis) Most patients with primary sjogren syndrome have auto antibodies to the ribo-nucleoprotien (RNP) antigensSS-A(RO) and SS-B(la).